A 20 years old girl presented with low-grade fever, malaise, night sweats, weight loss, arthralgia and fatigue for 1 month. On examination peripheral pulses are weak in upper extrimities and bruit is present on carotid and subclavian artery. On investigating the child there was dilatation of proximal aorta. Most likely diagnosis is?
1. Polyarteritis nodosa
2. Temporal arteritis
3. Takayasu's arteritis
4. Kawasaki's disease

Correct answer: 3. Takayasu's arteritis

Explanation: Ans. is 'c' i.e., Takayasu's arteritis Points in favour of diagnosis are:* 20 years old girl (more common in Adolescent girls and young women)* Systemic symptoms (low-grade fever, malaise, night sweats, weight loss, arthralgia and fatigue)* Weak peripheral pulses in upper extrimities* Bruit is present on carotid and subclavian artery* Dilatation of proximal aorta* Takayasu arteritis has been explained